Rubber dam was introduced by
1. Tomy Hanks
2. S.C. Barnum
3. Hedstorm
4. G.V. Black

Correct answer: 2. S.C. Barnum